In pupillary reflex nerve tested is:
1. 2nd
2. 3rd
3. Both 2nd and 3rd
4. 4th

Correct answer: 3. Both 2nd and 3rd

Explanation: Ans. Both 2nd and 3rd